Which of the following is not an immediate post operative complication of thyroidectomy:
1. Thyroid crisis.
2. Thyroid insufficiency.
3. Recurrent laryngeal nerve palsy.
4. Respiratory obstruction.

Correct answer: 2. Thyroid insufficiency.